Cortex of ovary consist of all the following except:
1. Graffian follicle
2. Hilus
3. Primordial follicle
4. Corpus luteum

Correct answer: 2. Hilus

Explanation: Ref: Grays Anatomy 40th Eel Pg 1279Explanation:In young females the surface of the ovary is covered by a single layer of cuboidal epithelium, which contains some flatter cells.It appears dull white, in contrast to the shiny smooth peritonea] mesothelial covering of the mesovarium, with which it is continuous.A white line around the anterior mesovarian border usually marks the transition between peritoneum and ovarian epithelium.The surface epithelium is also termed the germinal epithelium, hut this is a misnomer, because it is not the source of germ cells.Immediately beneath the epithelium there is a tough collagenous coat, the tunica albuginea.The ovarian tissue it surrounds is divisible into a cortex, which contains the ovarian follicles, and a medulla, which receives the ovarian vessels and nerves at the hilum.After puberty the cortex forms the major part of the ovary, and encloses the medulla except at the hilum.It contains the ovarian follicles at various stages of development, and corpora lutea and their degenerative remnants, depending on age or stage of the menstrual cycle.The follicles and structures derived from them are embedded in a dense stroma composed of a meshwork of thin collagen fibres and fusiform fibroblast-like cells arranged in characteristic whorls.Stromal cells differ from fibroblasts in general connective tissue in that they contain lipid droplets, which accumulate in pregnancy.Stromal cells give rise to the thecal layers of maturing ovarian follicles.The theca interna becomes steroid-secreting in the corpus luteum.